Freiberg's disease is
1. Avascular necrosis of the navicular
2. Avascular necrosis of the lunate
3. Osteochondritis of the calcaneal apophysis
4. Osteochondritis of the second metatarsals

Correct answer: 4. Osteochondritis of the second metatarsals

Explanation: D. i.e. (Osteochondritis of the second metatarsals) (101-2 - Apley 8th)FRIEBERG'S DISEASE - is a crushing type of osteochondritis of the second metatarsal head (rarely the third) affects mostly young womenOSTEOCHONDRITIS (OSTEOCHONDROSIS)1. Crushing Osteochondritis* Freiberg's disease- metatarsals** Kohler's disease- navicular** Kienbock's disease- carpal lunate** Panner's disease- capitulum*2. Splitting osteochondritis (Osteochondritis disease)Common sites* Lateral surface of the medial femoral condyle in the knee*** Anteromedial comer of the talus in the ankle* Superomedial part of the femoral head* Humeral capitulum and first metatarsal head3. Pulling osteochondritis (Traction Apophysitis)* Osgood - Schlatter's disease - Tibial tuberosity* *** Sever's disease - Calcaneal apophysis